Steroid hormones are believed to enter target cells via:
1. Facilitated diffusion
2. Carrier — mediated endocytosis
3. Cholesterol lined pores in the plasma membrane
4. Simple diffusion

Correct answer: 4. Simple diffusion